Conjugated hyperbilirubinemia is seen in all EXCEPT:
1. Dubin Johnson syndrome
2. Rotor syndrome
3. Gilbert syndrome
4. None of the above

Correct answer: 3. Gilbert syndrome

Explanation: Ans. C i.e. Gilbert syndromeGilbert syndrome presents with unconjugated hyperbilirubinemia